Parvo-virus causesa) Aplastic anemiab) Erythema infectiosumc) Roseola infantumd) Arthritis
1. acd
2. abd
3. abc
4. ab

Correct answer: 2. abd